Asthma like symptoms is seen in... poisoning -
1. Arsenic
2. Organophosphorous
3. Lead
4. Gold

Correct answer: 2. Organophosphorous

Explanation: Organophosphates can cause bronchospasm and asthma like symptoms.